Time required for development of parasite from the gametocyte to sporozite stage in mosquito is called as -
1. Extrinsic incubation period
2. Intrinsic incubation period
3. Generation time
4. Median incubation period

Correct answer: 1. Extrinsic incubation period

Explanation: The time required for the development of the parasite from the gametocyte to sporozoite stage in the body of mosquito is about 10-20 days . This period is also referred to as the ' extrinsic incubation period'. Park's textbook of preventive and social medicine,K.Park,23rd edition,page no:258